Upper respiratory tract infection is a common problem in children. All of the following anesthetic complications can occur in children with respiratory infections except?
1. Bacteremia
2. Halothane granuloma
3. Increased mucosa] bleeding
4. Laryngospasm

Correct answer: 2. Halothane granuloma

Explanation: B i.e. Halothane granuloma Due to local infection there is hyperemia of the local area & trauma can result in mucosal bleeding Due to local edema & inflammation, laryngospasm can be a complication Systemic infection can lead to Bacteremia Halothane toxicity more common in obese & elderly women; rare in childrenQ Halothane attenuates airway reflexes & relaxes bronchial smooth muscles by inhibiting intracellular Ca++ mobilization. best bronchodialatorQ, this action is not inhibited by propranolol (B- Blocker) depresses clearance of mucus from respiratory tract promoting post op hypoxia & atlectasis.